Least common mode of transmission of HIV-
1. Homosexual contact
2. Heterosexual
3. IV drug abuse
4. Transfusion of blood products

Correct answer: 4. Transfusion of blood products

Explanation: Homosexual or Heterosexual contact  → 50-70%
IV drug abuse  → 25%
Recipient of blood and blood components → 1%
Haemophiliacs receiving factor VIII or IX  → 0.5%